A 50 years old male patient travels alone in a remote village of Rajasthan was not on any food or water for the past 24 hours. Urine osmolality is 1150 mOsm/Kg. The major site of water reabsorption is
1. Proximal tubule
2. Henle's loop
3. Distal tubule
4. Medullary collecting duct

Correct answer: 1. Proximal tubule

Explanation: Answer: a) Proximal tubuleWater Transport along the NephronSegmentPercentage of Filtrate ReabsorbedMechanism of Water ReabsorptionHormones That Regulate Water PermeabilityProximal tubule67%PassiveNoneLoop of Henle15%Descending thin limbonly; passiveNoneDistal tubule0%No water reabsorptionNoneLate distal tubule and collecting duct~8%-17%PassiveADH, ANP, BNP*Atrial and brain natriuretic peptides inhibit antidiuretic hormone-stimulated water permeability